The following tests can be used for diagnosing celiac disease except:
1. Anti - gliadin antibodies
2. Anti - ulcer antibodies
3. Anti- Endomysial antibodies
4. Anti-tissue transglutaminase antibodies

Correct answer: 2. Anti - ulcer antibodies

Explanation: Antibody testing, immunoglobulin A anti-tissue transglutaminase antibody (IgA TTG), is the best first test, The most sensitive and specific antibodies for the confirmation of celiac disease are Anti tissue transglutaminase IgA, Anti endomysial IgA, Anti reticulin IgA , correlate with the degree of mucosal damage. Anti-gliadin antibodies were one of the first serological markers for coeliac disease.